Which of the following is true about Gartner cyst ?
1. It is remnant of Mesonephric duct in females.
2. It is functionally active in females.
3. It is remnant of Paramesonephric duct in females.
4. In males,it forms excretory system of male reproductive system.

Correct answer: 1. It is remnant of Mesonephric duct in females.

Explanation: Gartner cyst is basically a remnant of mesonephric or wolffian duct which remains vestigeal and functionally inactive in females. In males it forms collecting part of male reproductive system.